Following are the clinical tests used in diagnosis ofCDH -
1. Barlow test
2. Ortolani test
3. Both of the above
4. None of the above

Correct answer: 3. Both of the above

Explanation: Ans. is "c' i.e., Both of the above Clinical tests for CDH/DDHo In infancy two tests are used.Barlow's testo This test is done within 2-3 days of birth.o The test has two partsPart 1 Infant is in supine position with hip and knee in 90deg of flexion. The hip is slowly adducted & pushed to dislocate the hip and one can hear a clunck of exit of femoral head out of the acetabulum.Part 2 Now the hip is gentely abducted and pulled to reduce the hip. This will cause 'clunk' indicating reduction of hip.o It is quite obvious that part 1 can be done only dislocatable hip; but not in already dislocated hip as the head is already out of the acetabulum.Ortolanfs testo This test is similar to 2nd - part of Barlow's test, i.e. slow abduction of hip in flexed position of hip & knee to reduce the hip.